The fungi which do not have sexual phase belong to which of the following groups
1. Phycomycetes
2. Fungi Imperfecti
3. Basidiomycetes
4. Ascomycetes

Correct answer: 2. Fungi Imperfecti

Explanation: Also called Deuteromycetes or hyphomycetes whose sexual phases have not been identified Reference: Textbook of Microbiology; Anathanarayan and paniker's; 9th edition